For each of the following statements, select whether it is applicable to one of the following medications.Inhibition of angiotensin converting enzyme I (ACE I).
1. losartan
2. enalapril
3. spironolactone
4. digoxin

Correct answer: 2. enalapril

Explanation: Enalapril exerts its effect by inhibiting formation of angiotensin II. This lowers systemic vascular resistance. In addition, ACE inhibitors have a natriuretic effect by inhibition of aldosterone secretion.